A 40 year old man presented with a flat 1 cm x 1 cm scaly, itchy black mole on the front of thigh. Examination did not reveal any inguinal lymphadenopathy. The best course of management would be -
1. FNAC of the lesion
2. Incision biopsy
3. Excisional biopsy
4. Wide excision with inguinal lymphadenectomy

Correct answer: 3. Excisional biopsy